Sullin index:
1. Measures disability
2. Measures life years adjusted with disability
3. Measures like expectancy adjusted without disability or free of disability
4. Measures life expectancy

Correct answer: 3. Measures like expectancy adjusted without disability or free of disability

Explanation: Measures like expectancy adjusted without disability or free of disability